Tall T wave in E.C.G occurs in -
1. Hyperkalemia
2. Hypokalemia
3. Hypercalcemia
4. Hypocalcemia

Correct answer: 1. Hyperkalemia

Explanation: Tall T waves are a feature of hyperkalemia ref Harrison 20th edition pg 1554